Of all the following, incineration is done for -
1. Mercury
2. Radiological waste
3. Halogen containing plastics
4. Human anatomical waste

Correct answer: 4. Human anatomical waste

Explanation: - wastes types not to be incinerated are; pressurized gas container or radiographic wastes. plastics sealed ampules wastes with mercury or cadmium content. Reference : Park's textbook of preventive and social medicine, 23rd edition, pg no:791